A patient with a history of radiation therapy required special consideration because:
1. The vascularity of the bone may be disrupted
2. Salivary function may be increased
3. Plaque accumulation greater than normal can be expected
4. The potential for periodontal disease is greatly increased

Correct answer: 1. The vascularity of the bone may be disrupted